PK reaction detects -
1. IgG
2. IgA
3. IgE
4. IgM

Correct answer: 3. IgE